Dilated pupil, dry mouth is a feature of poisoning due to
1. Morphine
2. Organophosphorus
3. Dhatura
4. Phenothiazines

Correct answer: 3. Dhatura